Specific gravity of enamel is:
1. 2.1
2. 2.8
3. 3.2
4. 3.4

Correct answer: 2. 2.8